Right eye superotemporal quadrantopia, left eye centrocaecal scotoma with headache. Site of lesion is:
1. Left optic nerve + chiasma
2. Left optic tract + chiasma
3. Right optic nerve + chiasma
4. Right optic tract + chiasma

Correct answer: 1. Left optic nerve + chiasma

Explanation: Ans. (a) Left optic nerve + chiasmaRef: Kanski 7/e, p. 826-827This type of field defect is seen in meningiomas where the lesion is at the junction of optic nerve and the chiasma. This is called "junctional scotoma of Traquair". (VFD No. 3-Text)